A 35 year old lady complains dysphagia, Raynaud's phenomenon, sclerodactyly. Investigations show antinuclear antibody. The likely diagnosis is :
1. Systemic lupus erythematosis
2. Systemic sclerosis
3. Mixed connective tissue disorder
4. Rheumatoid arthritis

Correct answer: 2. Systemic sclerosis

Explanation: Ans. is 'b' Systemic Sclerosis The symtoms of the female and presence of antinuclear Antibody points towards the diagnosis of Systemic sclerosis.(Also see medicine NOV. 2000)SLEIn SLE prominent symptoms are rashes on skin, arthritis, fever, renal involvement, alopecia.Mixed connective tissue disordersThis disease is characterised by overlapping clinical feature of SLE, Scleroderma, Rheumatoid Arthritis and Polymyositis in association with very high titre of antinuclear ribonucleic protein (n RNP). The female is giving symptoms of Systemic sclerosis. So MCTD has been ruled out of Diagnosis.Rheumatoid arthritisIn Rheumatoid Arthritis fever, loss of weight, Morning stiffness and symmetrical involvement of Small joints of hands and feet are most prominent symptoms.